What would be the race of individual if skull bone having following feature? Rounded nasal opening, horseshoe shaped palette. Round orbit & cephalic index above 80 -
1. Negro
2. Mongol
3. European
4. Aryans

Correct answer: 2. Mongol

Explanation: Mongols have maximum cephalic index ( ≥ 80) and height index (75) with rounded nasal openings, orbits and palate.